Drugs that can be used safely in porphyria are: a) Phenobarbitone b) Ketamine c) Sodium valproate d) Midazolam e) Pethidine
1. de
2. ae
3. ad
4. bc

Correct answer: 1. de